Respiratory system develops from:
1. Ventral wall of foregut
2. Dorsal wall of foregut
3. Ventral wall of midgut
4. Dorsal wall of midgut

Correct answer: 1. Ventral wall of foregut

Explanation: Respiratory system develops from: ventral wall of foregut.